A common cause of Primary hyperparathyroidism is-
1. Multiple parathyroid adenomas
2. Solitary parathyroid adenoma
3. Solitary thyroid adenoma
4. Ectopic PTH production

Correct answer: 2. Solitary parathyroid adenoma

Explanation: a single abnormal parathyroid gland is the cause in 80% of patients ( harre 17 pg 2380)